All of the following are plans to strengthen the infrastructure of National Rural Health Mission (NRHM), EXCEPT:
1. Promotion of Rogi Kalyan Samiti
2. Recruitment of ASHA
3. Formulation of state and district health programme
4. Formulation of family planning and welfare societies

Correct answer: 4. Formulation of family planning and welfare societies

Explanation: Recognizing the importance of health in the process of economic and social development and to improve the quality of life of its citizens, the government of India launched National Rural Health Mission (NRHM) on 5th April, 2005 for a period of seven years. The mission seeks to improve rural healthcare delivery system. Plans to strengthen the infrastructure are, Creation of cadre of Accredited Social Health Activist (ASHA) Strengthening sub-centers Strengthening Primary Health Centers Strengthening Community Health Centres for First Referral care (e.g., by promotion of Rogi Kalyan Samiti for hospital management) Ref: Park's Textbook of Social and Preventive Medicine, 19th edition, Page 364-365.